Which of the following statement regarding precocious puberty is true?
1. Intellectual disability is present
2. Absent reproductive dysfunction
3. Sexual maturity attained early
4. Enlarged body proportions

Correct answer: 3. Sexual maturity attained early

Explanation: Precocious puberty refers to the onset of secondary sexual characteristics below the age limit set for normal onset of puberty, i.e onset before the age of 8 years in girls and 9 years in boys.